Thyrotoxicosis can be differentiated from anxiety neurosis clinically by
1. Tachycardia
2. Sleeping pulse rate
3. Moist hands
4. Ankle's jerk

Correct answer: 2. Sleeping pulse rate

Explanation: Pulse rate in thyrotoxicosis Ref image - reasearchgate.net